All of the following are true regarding Haemophilus influenzae except -
1. It can be a part of the normal flora in some persons
2. The serotyping is based on the bacterial outer membrane proteins
3. It requires Haemin and NAD for growth in culture medium
4. Type b is responsible for invasive disease

Correct answer: 2. The serotyping is based on the bacterial outer membrane proteins